Which of the following statements about Pancreatic Carcinoma is not true?
1. Mutation in P53 gene is associated in 75% of cases
2. Hereditary Pancreatitis significantly increases the risk
3. Median survival in locally advanced (stage III) disease is 3-6 months
4. Five year survival after curative pancreaticoduodenectomy is 15-20%

Correct answer: 3. Median survival in locally advanced (stage III) disease is 3-6 months

Explanation: Prognosis in Carcinoma Pancreas Five-year survival after curative resection (pancreaticoduodenectomy) approaches 15-20 % Overall, 5 year survival rate with pancreatic cancer is 5 % Median survival in Carcinoma Pancreas Resectable disease (Stage I and II) 15-20 months Locally advanced disease (Stage III) 6-10 months Metastatic disease (Stage IV) 3-6 months Ref: Sabiston 20th edition Pgno : 1547